A patient presents with endocrinopathy, fibrous dysplasia of bone and Hyperpigmentation. Diagnosis-
1. McCune Albright syndrome
2. Addison's disease
3. Alagille syndrome
4. Lynch syndrome

Correct answer: 1. McCune Albright syndrome

Explanation: Polyostotic fibrous dysplasia ,hyper pigmentation and endocrinopathies are the features of McCune-Albright syndrome. It clinically presents as precocious sexual development , most commonly in girls.other endocrinopathies like hyperthyroidism,pituitary adenomas may also be seen. Bone lesions are often unilateral. Cutaneous macules are classically large ;dark to cafe-au-lait in color;with irregular serpiginous borders.McCune-Albright syndrome is caused by mutations in the GNAS gene. A small number, but not all, of the person's cells contain this faulty gene (mosaicism). (Ref:ROBBINS Text book of pathology)